Which of the following is not sexually transmitted :
1. Echinococcus
2. Candida
3. Molluscum contagiosum
4. Group B. Streptococcus

Correct answer: 1. Echinococcus

Explanation: Echinococcus